Troponin T is marker of
1. Renal disease
2. Muscular dystrophy
3. Cirrhosis of liver
4. Myocardial infarction

Correct answer: 4. Myocardial infarction

Explanation: A troponin test measures the levels of troponin T or troponin I proteins in the blood. These proteins are released when the heart muscle has been damaged, such as occurs with a heart attack. The more damage there is to the heart, the greater the amount of troponin T and I there will be in the blood